Which is not a method of gene therapy?
1. FISH
2. Transfection
3. Electroporation
4. Bacteriophage

Correct answer: 1. FISH

Explanation: Ans. A. FISHa. FISH is fluorescent -in-situ hybridization and is a method of detection and not related with gene therapyb. Fluorescence in situ hybridization (FISH) is a very sensitive technique that is also used for this purpose.c. This often places the gene at a location on a given band or region on the chromosome.d. Some of the human genes localized using these techniques are listed.e. This table represents only a sampling, since thousands of genes have been mapped as a result of the recent sequencing of the human genome.f. Once the defect is localized to a region of DNA that has the characteristic structure of a gene, a synthetic gene can be constructed and expressed in an appropriate vector and its function can be assessed--or the putative peptide, deduced from the open reading frame in the coding region, can be synthesized.g. Antibodies directed against this peptide can be used to assess whether this peptide is expressed in normal persons and whether it is absent in those with the genetic syndrome.